Articular cartilage, true is ?
1. Very vascular structure
2. Surrounded by thick perichondrium
3. Has no nerve supply
4. Fibrocartilage

Correct answer: 3. Has no nerve supply

Explanation: Ans. is 'c' i.e., Has no nerve supply Articular cartilage The articulating surfaces of a synovial joint are covered by articular cartilage. The articular cartilage has following features :- It is a hyaline cartilage It is avascular It is non-nervous (no nerve supply) Does not have perichondrium Articular cartilage lacks the ability to properly repair and regenerate itself. The regeneration capacity of cartilage is limited due to its isolation from systemic regulation, and its lack of of vasculature and nerve supply.